A 7-year-old young boy, had fracture of lateral condyle of femur. He developed malunion as the fracture was not reduced anatomically. Malunion will produce:
1. Genu valgum
2. Genu varum
3. Genu recurvatum
4. Dislocation of knee

Correct answer: 1. Genu valgum

Explanation: Malunion in C/O Injury to lateral femoral condyle -Genu valgum Malunion in C/O Injury to medial femoral condyle -Genu varum. It is hyperextension of the knee joint- Genu Recurvatum Malunion can't produce dislocation of knee joint.